Superantigen is produced by
1. Staphylococcus aureus
2. Streptococcus pneumoniae
3. Pseudomonas aeruginosa
4. Clostridium diphtheriae

Correct answer: 1. Staphylococcus aureus

Explanation: Superantigens are that antigen which can generate the high immune response upon introduction